Which of the following is a Class Ib drug?
1. Encainide
2. Flecainide
3. Lidocaine
4. Moricizine

Correct answer: 3. Lidocaine

Explanation: Class 1 Drugs with local anesthetic action block sodium channels and reduce the sodium current, INa. They are the oldest group of antiarrhythmic drugs and are still widely used.Drugs belonging to Subgroup 1B1) Lidocaine2) MexiletineReference: Katzung Pharmacology; 13th edition; Chapter 14; Agents Used in Cardiac Arrhythmias